Le facies sympathique is seen in:
1. Traffic accident
2. Hanging
3. Strangulation
4. Myocardial infarction

Correct answer: 2. Hanging

Explanation: B i.e. Hanging